Telmisartan lowers blood pressure by
1. Inhibiting formation of angiotensin 1 to angiotensin
2. Inhibiting conversion ofrenin to angiotensin 1
3. Blocking AT1 receptors
4. Interfering with degradation of bradykinin

Correct answer: 3. Blocking AT1 receptors

Explanation: Refer kDT 7/e p 561 Telmisartan blocks the vasoconstrictor and aldosterone-secreting effects of angiotensin II by selectively blocking the binding of angiotensin II to the AT1 receptor in many tissues, such as vascular smooth muscle and the adrenal gland. Its action is therefore independent of the pathways for angiotensin II synthesis.